Which of the follow ing is the disorder of purine -
1. Hyperammonemia
2. Gout
3. Orotic acduria
4. Hartnup disease

Correct answer: 2. Gout

Explanation: Ans. is 'b' i.e., Gout Disorders of purine metabolism Disorders of pyrimidine metabolismo Gout o Orotic aciduriao Lesch-Nyhan syndrome o b-hydroxybutyric aciduriao Adenosine-deaminase dificiency o Uraciluria-thyminuriao Purine uncleoside phosphorylase dificiency